Esophageal carcinoma is not  predisposed by
1. Achalasia
2. Scleroderma
3. Corrosive intake
4. barrett's oesophagus

Correct answer: 2. Scleroderma

Explanation: common predispositions in developing carcinoma oesophagus includes,
*human papillomavirus infection
*achalasia cardia (30%)
*oesophageal webs (25%)
*Barrett's oesophagus and also Plummer Vinson syndrome, tylosis, corrosive strictures, and nitrosamines.